Mydriatic which does not cause cycloplegia is:
1. Tropicamide
2. Atropine
3. Homatropine
4. Phenylephrine

Correct answer: 4. Phenylephrine